Most common parotid tumor
1. Pleomorphic adenoma
2. Adenocystic carcinoma
3. Epidermoid tumor
4. Adenocarcinoma

Correct answer: 1. Pleomorphic adenoma

Explanation: Pleomorphic adenoma is a common benign salivary gland neoplasm characterised by neoplastic proliferation of parenchymatous glandular cells along with myoepithelial components, having a malignant potentiality. It is the most common type of salivary gland tumor and the most common tumor of the parotid gland. Refer robbins 9/e p556